In a completely charred body at autopsy, medical officer can say that the burns are antemortem if he can find -
1. Soot in respiratory passage
2. Cyanosis of finger nails
3. Congestion of kidney
4. Pale internal organs

Correct answer: 1. Soot in respiratory passage

Explanation: One of the most important characteristic of antemortenri burns is, the finding of 'Soot and carbon particles' in larynx, trachea and may be in lungs.